Which of the following anesthetic drug is contraindicated in hepatic failure?
1. Desflurane
2. Remifentanil
3. Halothane
4. Isoflurame

Correct answer: 3. Halothane

Explanation: Ans. is 'c' i.e., Halothane * Following table depicts the anesthetic drugs which should/ not be used in patient s with liver problems:Anaesthetic drugs in liver failure Drugs safe in liver failureDrugs to be used with caution (may need reduced dosage)Drugs contraindicated in liver failurePremedicationLorazapamMidazolam, diazepam InductionPropofol thiopental, etomidate MaintenanceDesflurane, sevoflurane, isoflurane nitrous oxideEnfluraneHalothane (possibly)Muscle relaxantsAtracurium, cisatracuriumPancuronium, vecuronium, suxamethoniummmmOpioidsRemifentanilFantanyl, alfentanil, morphine, pethidine AnalgesicsParacetamolNSAIDs, lidocaine, bupivacainewmsmam